Group B (flaviviruses) Arboviruses is/are-a) Dengue feverb) Rift valley feverc) Chikungunya feverd) J.E.e) Yellow fever
1. acd
2. bde
3. ade
4. ad

Correct answer: 3. ade